What is the length of optic nerve
1. 20 mm
2. 30 mm
3. 40 mm
4. 50 mm

Correct answer: 4. 50 mm

Explanation: Answer- D. 50 mmoptic nerve is about 47-50 mm in length and can be divided into 4 parts : -Intraocular part (1 mm)Intraorbital part (30 mm)Intracanalicular part (5-9 mm)Intracranial part (10 mm)